Conduct money is paid to expert witness with summons from :
1. Civil court
2. Criminal court
3. High court
4. Sub magistrate

Correct answer: 1. Civil court

Explanation: A i.e. Civil court